Not true regarding Waldenstrom's macroglobulinemia,
1. Lymphadenopathy is usually present
2. Blood viscosity increased
3. Ig M immunoglobulin increased
4. Hypercalcemia

Correct answer: 4. Hypercalcemia

Explanation: WALDENSTROM'S MACROGLOBULINEMIAIt is a malignancy of lymphoplasmacytoid cells that secreted IgM. In contrast to myeloma, the disease was associated with lymphadenopathy and hepatosplenomegaly, but the major clinical manifestation was hyperviscosity syndrome.Reference: Harrison's principles of Internal Medicine; 19th edition; Chapter 136 Plasma Cell Disorders